Treatment of choice in aphakia:
1. Contact lens
2. Spectacles
3. IOL
4. Laser therapy

Correct answer: 3. IOL

Explanation: C i.e. IOL